Base of hea is formed by
1. Rt. ventricle
2. LV
3. LV + RV
4. RA + LA

Correct answer: 4. RA + LA

Explanation: D i.e. RA + LA The base of hea forms its posterior surface. It is formed mainly by the left atriumQ and by small pa of right atriumQ.